In MI following are used except
1. Fibrinolytics
2. Plasminogen activator inhibitor
3. Antithrombin
4. Platelet inhibitor

Correct answer: 2. Plasminogen activator inhibitor

Explanation: Ref Harrison 19 th ed pg 1605 The principal goal of fibrinolysis is prompt restoration of full coronary arterial patency. The fibrinolytic agents tissue plasminogen activator (tPA), streptokinase, tenecteplase (TNK), and reteplase (rPA) have been approved by the U.S. Food and Drug Administration for intravenous use in patients with STEMI. These drugs all act by promoting the conversion of plasminogen to plas- min, which subsequently lyses fibrin thrombi.